What type of RBC seen in chronic renal failure ?-
1. Microcytic
2. Macrocytic
3. Normocytic
4. None

Correct answer: 3. Normocytic

Explanation: In chronic renal failure there is anaemia of chronic disorders. It is rogly proportional to severity of the uremia.In general anaemia in chronic disorder is normocytic normochromic.The basis of anaemia in renal failure is multifactorial, but the dominant cause is the diminished synthesis of erythropoetin by the damaged kidney which leads to inadequate red cell production. Other contributors are an extracorpuscular defect that reduces red cell lifespan and iron deficiency due to platelet dysfunction and increased bleeding. Reference :Robbins and Cotran Pathologic basis of disease.South Asia Edition volume 1.page no.655 Harsh Mohan textbook of pathology,7th edition.Pg no.278,279